Most common type of shoulder dislocation is:
1. Posterior
2. Anterior
3. Inferior
4. Superior

Correct answer: 2. Anterior

Explanation: Ans. B: Anterior Shoulder joint is the commonest joint in the body to dislocate Anterior shoulder dislocation is much more common than posterior dislocation Shoulder dislocation: MC joint to dislocate in body: Shoulder MC type of shoulder dislocation: Subcoracoid/ inferior Rarest type of shoulder dislocation: Posterior Posterior type of shoulder dislocation is associated with: Epileptic fits Bankart's lesion is related with avulsion of glenoidal labrum Hill Sach's lesion is found on humeral head Test for dislocation of shoulder joint: - Duga's test, - Hamilton ruler test, - Callaways test Kocher's manouevre is done to reduce a dislocated shoulder